Chadwick's sign is :
1. Intermittent urine contraction
2. Bluish discoloration of vagina
3. Vaginal pulsations
4. Softening of the cervix

Correct answer: 2. Bluish discoloration of vagina

Explanation: Bluish discoloration of vagina